Erlenmeyer flask deformity of the femur is seen in all of the following, except
1. Osteopetrosis
2. Gaucher's disease
3. Thalassemia
4. Paget's disease

Correct answer: 4. Paget's disease

Explanation: Erlenmeyer flask deformity of lower end of femur is seen in

Gaucher's disease
Lead poisoning 
Thalassemia
Osteopetrosis